Which among the following is FALSE about congenital toxoplasmosis?
1. IgA is better than IgM in detection
2. Diagnosed by detection of IgM in cord blood
3. IgG is diagnostic
4. Not recalled

Correct answer: 3. IgG is diagnostic

Explanation: Negative IgM with positive IgG indicates past infection. The presence of IgM antibody (which does not cross placenta) in the infant's circulation will diagnose congenital toxoplasmosis. The double sandwich IgA-ELISA is more sensitive than the IgM-ELISA for detecting congenital infection in the fetus and newborn. The methods used to detect IgM are 1)Double sandwich IgM ELISA 2)IgM immunosorbent assay. Ref: Kim K., Kasper L.H. (2012). Chapter 214. Toxoplasma Infections. In D.L. Longo, A.S. Fauci, D.L. Kasper, S.L. Hauser, J.L. Jameson, J. Loscalzo (Eds), Harrison's Principles of Internal Medicine, 18e.